Normal asymptomatic case of myocardial infarction previously treated with antiplatelet and thrombolytic therapy. Secondary prophylaxis for this patients with
1. Beta - blockers
2. Calcium channel blockers
3. Nitrates
4. Aldosterone antagonists

Correct answer: 1. Beta - blockers

Explanation: (Beta- blockers) (324- CMDT-08) (1543-H17th)Secondary prevention of MI* b -blockers improve survival rates, primarily by reducing the incidence of sudden death in high -risk subjects of patients through their value may be less in patients without complications with small infection and normal exercise tests* b -blockade should be avoided in patients with decompensated heart failure, decompensated asthma or high degrees of AV block* Antiplatelet agent - aspirin and clopidogrel are recommended